From clinical point of view, property of composite is to provide
1. Translucency
2. Transparency
3. Opacity
4. Brittleness

Correct answer: 1. Translucency